Dentition is considered delayed in cases except
1. rickets
2. hypothyroidism
3. malnutrition
4. congenital syphilis

Correct answer: 4. congenital syphilis

Explanation: In ill-nourished children, and especially in rickets, and in hypothyroidism dentition may be delayed, while in syphilis, teeth may be premature or even present at birth. Developmentally, permanent teeth are divided into two sets : Superadded permanent teeth are those which do not have deciduous predecessors.All the permanent molars are superadded permanent teeth. Successional permanent teeth are those which erupt in place of deciduous teeth.Successional teeth are ten in each jaw.